Agents used for cold test:
1. Dichloro difluromethane.
2. Dry ice.
3. Ethylchloride.
4. All of the above.

Correct answer: 4. All of the above.